Which of the following is one of the most important prognostic factors for colorectal carcinoma?
1. Site of lesion
2. Tumour size and characteristics
3. Age of patient
4. Lymph node status

Correct answer: 4. Lymph node status

Explanation: Most important prognostic factors for colorectal carcinoma are: Depth of invasion of tumor. Presence or absence of lymph node metastasis